Indirect Coomb's test detects:
1. Antibodies attached to RBC Surface
2. Antibodies in the serum
3. Antigens attached to RBC Surface
4. Antigens in the serum

Correct answer: 2. Antibodies in the serum

Explanation: Answer is B (Antibodies in the serum) Indirect Coomb's test detects IgG antibodies in the serum (e.g. Anti-D Antibodies). Direct Coomb's test detects IgG Antibodies (or complements) attached to the surface of RBCs. Direct Antihuman Globulin Test Detects RBCs sensitized with IgG or Complements(C3B or C3d) (DAT; Coomb's; Direct Coomb's) Detects IgG Antibodies (or complements) attached to the surface of RBCs. Indirect Antihuman Globulin Test Direct Coomb's Test In the Direct Coomb's test, red blood cells (RBCs) sensitized with IgG antibodies (or C3b, C3d) are agglutinated when Coomb's reagent (Rabbit Anti-IgG antibody) is added to the test tube Detects Antibodies in the Serum Indirect Coomb's Test In the Indirect Coomb's test IgG antibodies (e.g. Anti-D) in the serum must first bind to blood group Type 0 Test RBCs added to the test tube. Addition of Coombs Reagent, then causes the sensitized Type 0 Test RBCs to agglutinate, indicating that IgG antibodies are present in the serum.